Side effect of progesterone only pill are all except-
1. Irregular bleeding
2. Amenorrhea
3. Decreased lactation
4. Weight gain

Correct answer: 3. Decreased lactation

Explanation: Ans. is 'c' i.e., Decreased lactation Progesterone only pill (POP/Mini pill)o Contains low dose any of the following progestinsLevonorgestrel 75 meg.' Norethisterone 350 meg / desogestrel 75 meg / lynestrenol 500 meg i norgestrel 30 megHow to takeo First pill has to be taken on the first day of the cycle & then continuously.o It has to be taken regularly & at the same time of the day.o Delay in intake of more than 3 hrs, female should take the missed immediately & next one as scheduled,o Extra precautions should be taken on next 2 days.Advantageso Can be given in lactating womeno Easy to takeo Can be given in women having diabetes, hypertension, epilepsy, fibroid, smoking & history of thromboembolism,o Reduces the risk of PID & endometrial cancerDisadvantageso May cause acne, mastalgia, headache, breakthrough bleeding & at times amenorrheao Failure rate is 0.5 to 2 per 100 wy.o May lead to ovarian cyst.Contraindication so Pregnancyo Unexplained vaginal bleedingo Recent breast cancero Atrial disease